The most common type of Glomerulonephritis occurs in HIV infection is
1. FSGS
2. RPGN
3. ADP-GN
4. MPGN

Correct answer: 1. FSGS

Explanation: (A) FSGS GLOMERULONEPHRITISCINICAL FEATURESETIOLOGY* ADP-GN* Nephritic syndrome* Post-streptococcal (2/3rd cases)Diffuse proliferative GN* Gross hematuria + edema + hypertension* Leprosy, ABE, SBEAcute GN* Oliguria* RBC cast: most specific* RPGN (Crescentic GN)* Sub acute RF* Nephritic syndrome* Complement level Normal* Respiratory symptoms (hemoptysis in GPS)* RPGN Type* I - Idiopathic, Goodpasture syndrome* II-ldiopathic, SLE, post infectious* III-WG, PAN Churg-Strauss syndrome* Minimal Change Disease (MCD) (Lipoid nephrosis/Nil deposit disease)* Lipiduria and lipid cast in urine* Membranous GN (Hymmens GN)* Most common cause of Nephrotic syndrome in children* Good response to steroids* Most common cause of Nephrotic syndrome in adults* Idiopathic drugs (Rmp, NSAIDS,* IRON-dextran, IFN-a) HIV* Idiopathic (in primary)* SLE and infections (HBV, HCV, Syphilis, P. malariae)* Drugs (penicillamine Gold, Captopril, NSAIDS)* Membranoproliferative GN (MPGN) Mesangiocapiilary GN* Nephrotic (type-I)* Type-II associated with partial lipodystrophy,* Hypocomplementamia* MPGN Type-I (H.o recent URI)* MPGN type-II (dense deposit ds)* MPGN type-III